All of the following are covalent modifications of enzyme regulation EXCEPT:
1. Phosphorylation
2. ADP Ribosylation
3. Acetylation
4. Glycosylation

Correct answer: 4. Glycosylation

Explanation: Various ways of covalent modifications of enzymes are : Most common is Phosphorylation and Dephosphorylation ADP Ribosylation, Methylation, Acetylation